All of true about HOCM except
1. Asymmetrical septal thickness
2. Left ventricular outflow obstruction
3. Double apical impule
4. Digitalis is useful

Correct answer: 4. Digitalis is useful